Kwashiorkor and Marasmus are two types of malnutrition. All of the following are features of Kwashiorkor EXCEPT?
1. Child appears edematous
2. He has good appetite
3. He is apathetic and lethargic
4. Hepatomegaly may be seen

Correct answer: 2. He has good appetite

Explanation: Kwashiorkor Marasmus 1. Edma Present Absent 2. Appetite Poor Voracious 3. CNS Apathy, Lethargy Active & Alert 4. Hepatomegaly Seen Not seen 5. skin & Hair Changes More common (Skin: Flaky Paint Dermatosis) (Hair: Flag sign) Less common